A patient came with a small solitary nodule in right lobe of thyroid. FNAC shows follicular adenoma. The best surgery is:
1. Enucleation
2. Sub - total thyroidectomy
3. Right Hemithyroidectomy
4. Near - total thyroidectomy

Correct answer: 3. Right Hemithyroidectomy

Explanation: A solitary toxic nodule ,which is often a functional follicular adenoma is treated with Iodine 131 therapy or Unilateral hemithyroidectomy . Patient with invasive follicular carcinoma are treated with total thyroidectomy .